Pseuddogia Fantastica is seen in
1. Malingering
2. Factitious disorder
3. Somatization syndrome
4. Dissociative fugue

Correct answer: 2. Factitious disorder

Explanation: Patients with "Factitious disorder or Munchausen syndrome" distart the history and there will be discrepancy between history, examination and reports which is termed as "Pseudologia Fantastica".